Which of the following is true of chicken pox ?
1. Virus not found in scab
2. Virus can be grown on the chick embryo
3. Caused by RNA virus
4. Does not cross the placental barrier

Correct answer: 1. Virus not found in scab

Explanation: Ans. is 'a' i.e., Virus not found in scab The fluid of vesicle of chickenpox contains virus during first 3 days of illness, but scab is noninfective. About other options Option b VZV does not grow in experimental animal or chick embryo. It can be grown in tissue culture cell lines ---> Human fibroblast, hela cells, vero cells. o Option c VZV is a DNA virus. o Option d VZV can cross placenta and infect the fetus.